Drug causing visual disturbance -
1. Pyrazinamide
2. Rifampin
3. Ethambutol
4. PAS

Correct answer: 3. Ethambutol

Explanation: Ans. is 'c' i.e., Ethambutol Adverse effect of Ethambutolo Ethambutol is relatively non toxic.o The main adverse effect of Ethambutol is retrobulbar optic neuritis (^unilateral or B/L/o This causes:-# Loss of visual activityRed-green colour blindness# Central scotomaPeripheral vision loss.o The changes reverse, if the t/t is stopped promptly if not, the patient may go blind.o Children below 6 years of age are not given ethambutol because children are unable to report early visual deterioration.o Ethambutol also produces hyperuricemiaAdverse effect of Pvrazinamideo Pyrazinamide produces hyperuricemia, hepatitis, arthralgia, fever, flushing, rashes, loss of diabetes control.